42 year-old male presents with dimness of near vision and can not read the newspaper print clearly. On examination, the media was clear in both the eyes and no fundus abnormality was seen. What would be the next step?
1. Refraction with near addition
2. Refraction under atropine
3. Radial keratotomy
4. Cataract surgery

Correct answer: 1. Refraction with near addition

Explanation: *With age the accommodative power of crystalline lens decreases so the near vision gets deteriorated. This condition is called presbyopia for which near add (convex glasses) is prescribed to individual. *Surgical Modalities to correct Presbyopia a)Multifocal IOL b)Crystalens c)Presbyopic LASIK